Which could be a finding in reversible cell injury ?
1. Pyknosis
2. Karyorrhexis
3. Karyolysis
4. Mitochondrial densities

Correct answer: 4. Mitochondrial densities

Explanation: Though formation of large, flocculent mitochondrial densities is a feature of irreversible cell injury. Small amorphous mitochondrial densities begin to appear in reversible cell injury. 
Option a,b,c are definitely features of irreversible cell injury